Cells cultured from patients with this disorder exhibit low activity for the nucleotide excision repair process. This autosomal recessive genetic disease includes marked sensitivity to sunlight (Ultra voilet light) with subsequent formation of multiple skin cancers and premature death, the disorder is –
1. Acute intermittent porphyria
2. Alkaptonuria
3. Xeroderma pigmentosa
4. Ataxia - Telangiectasa

Correct answer: 3. Xeroderma pigmentosa

Explanation: This patient has -


Defect in nucleotide excision repair 
Increased sensitivity to sunlight (photosensitivity)
Increased susceptibility to skin cancer
Premature death


All suggests the diagnosis of Xeroderma pigmentosa.